Sabin feldman Dye test is used to demonstrate infection with ?
1. Filaria
2. Toxoplasma
3. Histoplasma
4. Ascaris

Correct answer: 2. Toxoplasma

Explanation: Ans. is *b' i.e., Toxoplasma The polyclonal IgG antibodies evoked by infection are parasiticidal in vitro in the presence of serum complement and are the basis for the Sabin - Feldman dye test. Laboratory diagnosis of toxoplasmosis Laboratory diagnosis can be made by Microscopic demonstration of the parasite Isolation of the parasite by animal inoculation or tissue culture. Polymerase chain reaction Serology The most common method of laboratory diagnosis Persons should initially be tested for the presence of Toxoplasma specific IgG antibodies to determine their immune status. A positive IgG titre indicates infection with the organism at sometime ( recent or past). Then an IgG positive person should have an IgM test. A negative test essentially excludes recent infection. However, a positive IgM test does not always mean a recent infection because toxoplasma specific IgM antibodies may persist for months to year following primary infection. Therefore :? Negative IgM with positive IgG always means a past infection. Positive IgM with positive IgG indicates possibility of recent infection, but not with 100% surety. It may or may not be recent infection. To differentiate between recent and past infection, IgG avidity test is used. It is worth noting here that a third situation is also possible when IgM test is positive but IgG test is negative. In this situation a second sample should be taken after 2-4 weeks and should be tested :? If the second sample is positive for IgG and IgM, it indicates that the first sample was taken early in the disease when IgG was not yet developed. If the second sample is still negative for IgG with positive IgM, it indicates false positive IgM test. Tests for IgG antibodies IgG ELISA/EIA Sabin- Fieldman dye test IgG indirect flourscent antibody test(IgG IFA) Diffemtial agglutination ( AC/HS) Avidity test Tests for IgM antibodies IgM indirect flourscent antibody test (IgM IFA) Double sandwich ELISA IgM capture EIA Immunosorbant agglutination assay ( ISAGA)